Which of the following enzyme is inhibited by Aminophylline -
1. Monoamine oxidase
2. Alcohol dehydrogenase
3. Cytochrome P-450
4. Phosphodiesterase

Correct answer: 4. Phosphodiesterase

Explanation: Ans. is 'd' i.e., Phosphodiesterase Aminophylline or Theophylline inhibits phosphodiesterase, especially phowhodiesterase - 4